All are symptoms of lacunar infarct except
1. Pure sensory type seen
2. Unilateral ataxia
3. Dysarthria-hand clumsiness
4. Transient loss of consciousness

Correct answer: 4. Transient loss of consciousness

Explanation: *Clinical manifestations include pure motor hemiparesis, pure sensory stroke, ataxic hemiparesis and dysarthria and a clumsy hand. Lacunar infarcts are small infarcts (2-20 mm in diameter) in the deep cerebral white matter, basal ganglia, or pons, presumed to result from the occlusion of a single small perforating artery supplying the subcortical areas of the brain. Ref Harrison20th edition pg 2345